A 9-month-old girl was admitted to the children's hospital with tachypnea (fast breathing) and shortness of breath. Physical examination further exhibits tachycardia (fast heart rate), a bounding peripheral pulse, and her angiographs reveal a patent ductus arteriosus. Which of the following embryonic arterial structures is most likely responsible for the origin of the patent ductus arteriosus?
1. Right fourth arch
2. Left fifth arch
3. Right fifth arch
4. Left sixth arch

Correct answer: 4. Left sixth arch

Explanation: The left sixth aortic arch is responsible for the development of both the ductus arteriosus and the pulmonary arteries. The ductus arteriosus closes functionally in an infant soon after birth, with anatomic closure requiring several weeks, but persistent 6th arch artery lead to PDA.